In minimal change disease, which of the following is seen?
1. Immunodeposits in glomerulus
2. Immunodeposits in mesangium
3. Immunodeposits in blood vessels
4. No immunodeposits

Correct answer: 4. No immunodeposits

Explanation: d. No immunodeposits(Ref: Nelson's 20/e p 2521-2528, Ghai 8/e p 477-482)In minimal change disease:Light microscopy: Glomeruli appear normal: No Ig/complement deposits, GBM: normalImmunofluorescence microscopy: No electron-dense depositsElectron microscopy: Diffuse effacement of foot processes of podocytes ("podocytopathy").